Kehr's sign is seen in-
1. Splenic trauma
2. Hepatic trauma
3. Renal trauma
4. Paccreatic trauma

Correct answer: 1. Splenic trauma

Explanation: Ans. is 'a' i.e., Splenic trauma o In splenic rupture the pain may be referred to the tip of the left shoulder. o This is known as Kehr's sign. o It occurs due to irritation of the undersurface of the diaphragm with blood and the pain is referred to the shoulder through the affected fibres of phrenic nerve (C4 and C5). o Kehr's sign can be elicited by bimanual compression of the left upper quadrant after the patient has been in Trendelenburg's position for about 10 minutes prior to the maneuver.